Uronic acid pathway does not have role in formation of which glycosaminoglycan proteoglycan?
1. Keratan sulfate
2. Chondroitin sulphate
3. Hyaluronic acid
4. Heparan sulphate

Correct answer: 1. Keratan sulfate

Explanation: Glycosaminoglycans are heteropolysaccharide (heteropolysaccharides are polysaccharides which contain two or more different monosaccharide unit or their derivates).Glycosaminoglycans are linear (unbranched) polysaccharides, with repeating diasaccharide units. Each disaccharide unit consists of an amino sugar and an acid sugar (sugar acid).